Enchondroma commonly arises from -
1. Ribs
2. Vertebra
3. Tibia
4. Phalanges

Correct answer: 4. Phalanges

Explanation: The most common site is short tubular bones of hand, i.e., Phalanges (most common) and metatarsals.